Fibrous histiocytoma is classified as -
1. Hemangiopericytoma
2. Sclerosing haemangioma
3. Angiomyolipomas
4. Angiomyosarcoma

Correct answer: 2. Sclerosing haemangioma

Explanation: Most benign fibrous histiocytomas consist of a proliferation of bland spindle cells, arranged in a storiform pattern. These are referred to - Dermatofibromas
Others may contain numerous blood vessels and hemosiderin deposition. These are referred to as Sclerosing Hemangioma